Hot tub folliculitis is caused by:
1. Pseudomonas aeruginosa
2. Pityrosporumovale
3. Aeromonashydrophila
4. Vibriovulnificans

Correct answer: 1. Pseudomonas aeruginosa

Explanation: Ans: a (Pseudomonas aeruginosa)Pseudomonas aeruginosa is an aerobic gram negative rod.It causes:ParonychiaPseudomonas otitis externaSwimming pool folliculitis Echthyma gangrenosum Treatment is ciprofloxacin